Fasanella Servat operation is specifically indicated in -
1. Congenital ptosis
2. Steroid induced ptosis
3. Myasthenia gravis
4. Horner's syndrome

Correct answer: 4. Horner's syndrome

Explanation: Fasanella servat procedure is indicated in ptosis due to Horner's syndrome & Frontalis suspension is indicated in Marcus Gunn jaw winking syndrome, blepharophimosis syndrome, total 3rd nerve palsy, aberrant regeneration of 3rd nerve.